Which of the following is a selenium-dependent enzyme?
1. Glucokinase
2. Aminotrasnferase
3. Glutathione peroxidase
4. Lysyl hydroxylase

Correct answer: 3. Glutathione peroxidase

Explanation: Selenium is a trace element nutrient that functions as a cofactor for glutathione peroxidases and certain forms of thioredoxin reductase.